Diffusion hypoxia is seen during –
1. Induction of anaesthesia
2. Recovering anaesthesia
3. Preoperatively
4. Postoperatively

Correct answer: 2. Recovering anaesthesia

Explanation: Concentration effect and secondary gas effect → During induction.
Diffusion hypoxia → during recovery.
All these occurs with N2O only. (Now anaesthetic gas xenon also produces all these effects).